True about Down's syndrome – a)  Hypertoniab)  Simian creasec)  Lymphedemad)  Mongoloid slant
1. bc
2. ad
3. ab
4. bd

Correct answer: 4. bd

Explanation: Upward sloping palpebral fissure is known as mangoloid slant.